Fertilization takes place in which part of fallopian tube ?
1. Interstitial part
2. Ampulla
3. Isthmus
4. Fimbria

Correct answer: 2. Ampulla

Explanation: Ans. is 'b' i.e., AmpullaThe beneficial effects of stay in the female genital tract are collectively called capacitation, from the isthmus, capacitated sperms move rapidly to the ampullas, where fertilization takes place.